30 year male with chronic diarrhoea, anemia, raised liver enzymes. Most likely associated with
1. Antimitochondrial antibody
2. Anti-endomysial antibody
3. Anti-smooth muscle antibody
4. Antinuclear antibody

Correct answer: 2. Anti-endomysial antibody

Explanation: Anti-endomysial antibody The clinical features are suggestive of celiac sprue0. The typical symptoms of celiac sprue are weight loss, chronic diarrhoea, abdominal distension, growth retardation anemia. Raised liver enzymes is not mentioned in many text books including Harrison. But according to C.M.D.T. 'Mild elevation of aminotransferases are seen in upto 40% of patientsdeg " Important points about the diagnosis of celiac sprue Small intestinal biopsy in celiac sprue demonstrates characteristic features but it is not specific for the diagnosis of celiac sprue. It can be seen in tropical sprue also. Serological tests helpful in the diagnosis of celiac sprue are - Anti endomysial antibody (Anti EMA) - Anti tissue (t) transglutaminase antibody Anti (t) TGA A negative test excludes the diagnosis of celiac sprueQ The diagnosis of celiac sprue still rests upon - Clinical demonstration of malabsotptioni2 - Demonstration of intestinal lesion by small bowel biopsyo - Unequivocal improvement in both symptoms and mensal histology on gluten with drawl from the diets'. Antimitochondrial antibody Antimitochondrial antibody testing is done for primary biliary cirrhosis. The points against the diagnosis of primary biliary cirrhosis. - It typically presents in middle aged females. - initial clinical manifestations of the disease are - Pruritus -Fatigue - Characteristic elevation of alkaline phosphatase Antismooth muscle antibody Antismooth muscle antibody testing is done for autoiminune hepatitis Antoimmune hepatitis is common in young women. The usual presentation is an acute attack of hepatitis.